Study of human evolution comes under
1. Social Anthropology
2. Physical Anthropology
3. Cultural Anthropology
4. Medical Anthropology

Correct answer: 2. Physical Anthropology